Increased gastrin is seen in :
1. Zollinger -Ellison syndrome
2. Iron deficiency anaemia
3. Duodenal ulcer
4. Gastric cancer

Correct answer: 1. Zollinger -Ellison syndrome

Explanation: Most sensitive & specific method for identifying Zollinger Ellison syndrome is demonstration of an increased fasting serum gastrin concentration (> 150 pg/mL)